Giant cell (Hecht's) pneumonia is due to –
1. CMV
2. Measles
3. Malaria
4. P. carinii

Correct answer: 2. Measles

Explanation: Primary giant cell or Hecht's pneumonia is seen in case of measles. It is a complication of measles and is seen in immunocompromised and malnourished patients.